A baby's blood group was determined as O negative. Which of the following blood group the baby's mother or father will not have?
1. A Positive
2. B Positive
3. AB Negative
4. O positive

Correct answer: 3. AB Negative

Explanation: Baby's mother or father will not have AB blood gp. Because if either of them will have AB then progeny can not have O blood group. AB * AO - AA, AO,AB,BO (no O gp possible) AB *AA -AA,AA,AB,AB (no O gp possible)